Which vitamins are synthesised by intestinal bacteria ?a) Vit K and Db) Vit K and B12c) Vit K and H (biotin)d) Vit K and E
1. ab
2. bc
3. abd
4. cd

Correct answer: 2. bc

Explanation: Vitamins formed by bacterial activity are vitamin K, vitamin B12, thiamine, riboflavin and biotin (vitamin H).